Agarophobia is defined as a fear of:
1. Closed spaces
2. Open spaces/public spaces
3. Spiders
4. Snakes

Correct answer: 2. Open spaces/public spaces

Explanation: Ans: b (Open spaces/ public spaces) Ahuja, 6th ed, p. 99Agarophobia is fear of open spaces, public spaces, crowded places.It is the commonest type of phobia encountered in clinical practiceCharacterized by an irrational fear of being in places away from the familiar setting of homeSocial phobia:This is an example of irrational fear of activities or social interaction characterized by an irrational fear of performing activities in the presence of other people or interacting with others.Eg:Fear of blushing- erythrophobia Fear of urinating in public lavatory- shy bladderOther specific phobiasFear of high places- acrophobiaFear of strangers - xenophobiaFear of pain - algophobiaFear of closed spaces - claustrophobia